One advantage of digital radiography is:
1. All the teeth can be in a single film
2. Highly economical
3. The radiographic images are obtained immediately
4. Pulpal vitality can be accurately assessed

Correct answer: 3. The radiographic images are obtained immediately